A 7 year old boy is newly diagnosed to have type 1 Diabetes mellitus and started on Insulin therapy. When should the screening for Nephropathy begin in this child?
1. Immediately
2. 1 year after the onset of Diabetes
3. 5 years after the onset of Diabetes
4. 10 years after the onset of Diabetes

Correct answer: 3. 5 years after the onset of Diabetes

Explanation: MC - Type 1 Diabetes | DOC - Insulin Mixed split regime Basal bolus regime - Screening for Nephropathy should begin: In Pre-pubertal age - 5 years after onset Pubertal age - 2 years after onset